Initial treatment for pulmonary embolism is :
1. Fibrinolysis
2. Anticoagulation
3. Surgical embolectomy
4. Venacaval filter

Correct answer: 2. Anticoagulation